Most common cause of Thyroiditis is:
1. Reidl 's Thyroiditis
2. Subacute Thyroditis
3. Hashimoto's Thyroiditis
4. Viral Thyroiditis

Correct answer: 3. Hashimoto's Thyroiditis

Explanation: Answer is C (Hashimoto's Thyroiditis) Hashimotas thyroiditis, also called chronic lymphocytic thyroiditis, is the most common firm of thyroiditis.